A 25-year-old woman presents to the emergency room with new symptoms of decreased urine output, leg edema, and facial swelling. She was previously well and has no significant past medical history. Laboratory investigations reveal acute kidney injury and a renal biopsy is performed. Immunofluorescence of the biopsy specimen reveals a granular pattern of immune complex-mediated glomerulonephritis. (See Figure below) Which of the following conditions is most likely to cause this pattern of renal injury?
1. acute tubular necrosis (ATN)
2. Wegener granulomatosis
3. postinfectious glomerulonephritis
4. hemolytic uremic syndrome (HUS)

Correct answer: 3. postinfectious glomerulonephritis

Explanation: Immune complexes with low complement levels can be seen in idiopathic and postinfectious glomerulonephritis, lupus, cryoglobulinemia, shunt nephritis, and bacterial endocarditis. Immune complexes are not detected in ATN, Wegener's, HUS, or Goodpasture syndrome. Immune complexes with normal complement levels are found in IgA nephropathy and Henoch-Schonlein purpura.